All of the following differentiaties theca Lutein cysts from corpus Luteum cysts, except
1. Massively enlarged ovaries
2. Honeycombed appearance
3. Unilateral
4. Lobulated buish - tinged cysts

Correct answer: 3. Unilateral

Explanation: Theca Lutein cysts in contrast to corpus luteum cysts are bilateral.